Uterus relaxation in order to delay labor is caused by:
1. Ritodrine
2. Tolterodine
3. Oxytocin
4. Labetalol

Correct answer: 1. Ritodrine

Explanation: b-Adrenergic receptors mediate myometrial cell relaxation. Agents binding to these receptors have been used for tocolysis of preterm labor and include ritodrine and terbutaline. Contraindication maternal cardiac disease. The decrease in afterload and the positive inotropic effect of these agents may precipitate cardiac failure in the pregnant woman with heart disease. Uncontrolled hyperglycemia Active labour PPROM Obstetric complications that require termination of pregnancy Complications Pulmonary edema Hyperglycemia Hypokalemia Hypotension Arrythmia